A 50-year-old lady presented with a history of pain upper abdomen, nausea, and decreased appetite for 5 days. She had undergone cholecystectomy 2 years back. Her bilirubin was 10 mg/dl, SGOT 900 IU/L SGPT 700IU/L and serum alkaline phosphatase was 280 IU/L. What is the most likely diagnosis -
1. Acute pancreatitis
2. Acute cholangitis
3. Acute viral hepatitis
4. Posterior penetration of peptic ulcer

Correct answer: 3. Acute viral hepatitis